On an average failure rate in the couples using condom is about -
1. 0-5 percent
2. 10-20 percent
3. 30-40 percent
4. 50 percent or more

Correct answer: 2. 10-20 percent

Explanation: Ans. is `b' i.e., 10-20% Condom o Condom is the most widely known and used barrier device by the males around the world. o Condom prevents the semen from being deposited in vagina. o The effectiveness of a condom may be increased by using it in conjunction with a spermicidal, jelly inserted into the vagina before intercourse. The spermicide serves as additional protection in the unlikely event that the condom should slip off or tear. o Failure rates vary from 2-3 per 100 women years to more than 14 in typical users.